The CSF findings in TB meningitis are all the following except -
1. Raised protein
2. Low sugar
3. Low chloride
4. High RBC count

Correct answer: 4. High RBC count